Restrains development of unexposed silver halide crystals; acts as antifog agents and increases contrast:
1. Phenidone
2. Sodium hydroxide
3. Bromine containing compound
4. Sodium sulphite

Correct answer: 3. Bromine containing compound